Which of the following  bacteria do not invade host tissue cell?
1. T. denticola
2. P. intermedia
3. P. gingivalis
4. F. nucleatum

Correct answer: 2. P. intermedia